Aedes transmit all except
1. West Nile fever
2. Yellow fever
3. Dengue
4. Right valley fever

Correct answer: 1. West Nile fever